Most common sire for osteoma is:
1. Maxillary sinus
2. Ethmoid sinus
3. Frontal sinus
4. Sphenoid sinus

Correct answer: 3. Frontal sinus

Explanation: Craniofacial osteomas are begin tumors often originating in the paranasal sinuses. The frontal sinus is the most frequent location followed by the ethmoid,Maxillary and sphenoid sinus,respectively Age of presentation=second to fifth decade with a male-female ratio-3:1. Ref .Scott Brown 7/e,Vol 2,p 1521.